The mechanism by which smoking accelerates vascular injury is?
1. Retention of sodium
2. Increased aldosterone production
3. Promoting endothelial dysfunction
4. Increasing plasma catecholamines

Correct answer: 3. Promoting endothelial dysfunction

Explanation: Smoking impacts on and potentiates the mechanisms at three separate stages of the development of vascular disease (atherosclerosis):1) Endothelial dysfunction2) Monocyte recruitment and development of the plaque3) Thrombosis at the damaged vessel wallRef: The Nature Of Disease: Pathology For The Health Professions, By Thomas H. McConnell, Page 279